Allergic Broncho-pulmonary Aspergillosis is commonly a complication of:
1. TB
2. Bronchogenic carcinoma
3. Cystic-fibrosis
4. Wegener's granulomatosis

Correct answer: 3. Cystic-fibrosis

Explanation: ABPA is a hypersensitivity reaction to A. Fumigatus and is seen in asthma and cystic fibrosis. Don't confuse with chronic pulmonary aspergillosis which is seen with TB , atypical mycobacteria , sarcoidosis and rheumatoid lung disease .